Anti-hypertensive drug contraindicated in pregnancy is?
1. Enalapril
2. Cardio selective Beta blockers
3. Methyl dopa
4. Hydralazine

Correct answer: 1. Enalapril

Explanation: 89).ANSWER: (A) EnalaprilREF: KDT 7th edp. 553Also asked in June 2008 (OBG), December 2008 (pharm)Anti-hypertensive to be avoided in pregnancyAnti-hypertensive to be given in pregnancy* ACE-I, AT-1 blockers ( absolutely c/i)* Diuretics* Non selective beta blockers* Sodium nitroprusside* Hydralazine* Methyl dopa* Dihydropyridine CCBs* Cardio selective beta blockers and those with intrinsic sympathomimetic activities* Prazosine and clonidine